All the following should be used during a thyroid storm except:
1. Radioactive iodine
2. Glucocorticoids
3. Potassium Iodide
4. Propylthiouracil

Correct answer: 1. Radioactive iodine

Explanation: Ans. (a) Radioactive iodineRef: Schwartz 10th edition, Page. 1534Thyroid Storm:* Clinical features: Hyperthyroidism accompanied by Fever, CNS agitation, Depression, CVS manifestations, Cardiac failure, GI dysfunction and Hepatic failure.* Etiology: Abrupt cessation of antithyroid drugs, Thyroid or nonthyroid surgery, Trauma in thyrotoxic cases. Even amiodarone, RAI and Contrast agents can stimulate it.* Treatment given# Beta blockers# Nasal Oxygen# ICU hemodynamic support# Nonaspirin compounds for fever# Lugol's Iodine# Sodium Ipodate IV# Propylthiouracil# Steroids